The hyaloid canal is found in the
1. Vitreous body
2. Choroid
3. Optic stalk
4. Ciliary body

Correct answer: 1. Vitreous body

Explanation: The hyaloid canal (Cloquet's canal) is found in the vitreous body. In early development, a hyaloid artery passes through the vitreous body to perfuse the developing lens; in the late fetal period, this artery is obliterated to form the hyaloid canal.